Clostridium tetani are following type of bacteria
1. Spore bearing aerobes
2. Non sporing aerobes
3. Spore bearing anaerobes
4. Non sporting anaerobes

Correct answer: 3. Spore bearing anaerobes